A boy can grasp a rattle & recently he become able to transfer objects, hand to hand. He can do-
1. Babble
2. Say 'mama' or dada
3. Sit without support
4. Stand with support

Correct answer: 1. Babble

Explanation: Ans. is 'a' i.e., Babble o A child is able to grasp an object (palmar grasp) at the age of 7 months. o A child can transfer the object form one hand to another by the age of 5-7 months. o So, the age of this child is 7 months. o A 7 months old child can do :? 1) Holds the objects with crude grasp from palm (palmar grasp) 2) Pivots 3) Shows stranger anxiety 4) Resists i fa toy is pulled from his hand 5) Babbles About other options o A child produces bisyllable sound (mama, dada) and stands with support by 9 months. o A child sits without support by 8 months.